Umbilical cord usually separates in newborns on:
1. Day 1
2. Day 2-3
3. Day 7-10
4. After 1 month

Correct answer: 3. Day 7-10

Explanation: Ans. C. Day 7-10Umbilical cord is the connection between the mother and the fetus in the intrauterine stage and includes two arteries and one vein. It usually separates in children between day 7-10, either by dry gangrene or a residual moist base.